Abnormal shape of head due to premature fusion of cranial sutures is seen in all of the following conditions EXCEPT?
1. Seckel syndrome
2. Carpenter syndrome
3. Ape syndrome
4. Crouzon syndrome

Correct answer: 1. Seckel syndrome

Explanation: Abnormal Head Shape Craniosynostosis - Premature fusion of cranial sutures - QM/C Type - Dolichocephaly - Premature fusion of Sagittal suture - Trigonocephaly - Premature fusion of Metopic suture - QTurricephaly - Coronal, Spheno-frontal & fronto-ethmoid suture - Syndromes associated with Craniosynostosis: | Carpenter Syndrome Ape Syndrome Pfeiffer syndrome Crouzon Syndrome | Brachycephaly (d/t premature fusion of coronal suture) Bulging eyes, mid-face hypoplasia Prognathism (protruding jaw)